Lymphatic drainage of Testes is to:
1. Internal iliac nodes
2. Paraoic nodes
3. Superficial Inguinal nodes
4. Deep Inguinal nodes

Correct answer: 2. Paraoic nodes

Explanation: Paraoic nodes